T.pallidum can be grown in
1. Mice
2. Armadillo
3. Rodent
4. Rabbit

Correct answer: 4. Rabbit

Explanation: Virulent Treponema pallidum strains cannot be cultivated in artificial media but have been maintained for many decades by a serial testicular passage in rabbits. One such strain (Nichol's strain), isolated from the brain of a fatal case of general paralysis of the insane in 1912, is still being propagated and used for diagnostic and research purposes.(Ref: Ananthanarayan 9th edition, p372)